In early phase division of spermatogonia by-
1. Meiosis
2. Mitosis
3. Both Meiosis & Mitosis
4. Maturation

Correct answer: 2. Mitosis

Explanation: Ans. is "b' i.e., Mitosis [Ref: Principles of medical physiology p. 322J